Treatment of 42-year-old obese man with blood glucose 450 mg, urine albumin 2+ Sugar 4+ Ketone 1+ is -
1. Insulin
2. Glibenclamide
3. Glipizide
4. Metformin

Correct answer: 1. Insulin